Not a feature of Cost accounting is:-
1. Cost control
2. Planning and allocation of people and financial services
3. Cost structure of program
4. Benefit expressed as results achieved

Correct answer: 4. Benefit expressed as results achieved

Explanation: Cost accounting: A quantitative management technique which provides basic data on cost structure of any programme. Is based on: Cost control. Planning and allocation of people and financial services. Pricing of cost reimbursement.